A surgeon was doing a laparoscopic hernia surgery and he visualized the Triangle of doom. Which of the following is not the boundary of the same?
1. Vas deferens
2. Gonadal Vessels
3. Reflected peritoneum
4. Inguinal ligament

Correct answer: 4. Inguinal ligament

Explanation: Ans. (d) Inguinal ligamentRef: Schwartz 10th ed; pg. 1499-1501Triangle of doomTriangle of pain* Medially - Vas deferens* Laterally Gonadal vessels* Interiorly - Reflected peritoneum* Medially - gonadal vessels* Laterally - Reflected peritoneum* Above by Iliopubic tractContents - External iliac vessels, Deep circumflex iliac vein, Genital branch of genitofemoral nerveContents include Lateral femoral cutaneous nerves, femoral branch of GFN and Femoral nerveImportance* Tackers should never be placed in these triangles.* If placed in Doom - Hemorrhage will occur, Pain - intractable postoperative pain will occur* Together called Trapezoid of Disaster